Recurrent laryngeal nerve is in close association with -
1. Superior thyroid artery
2. Inferior thyroid artery
3. Middle thyroid artery
4. Superior thyroid vein

Correct answer: 2. Inferior thyroid artery

Explanation: The terminal part of the inferior thyroid artery is related to the recurrent laryngeal nerve.
The superior thyroid artery is closely related to the external laryngeal nerve.